Which of the following is the most common central nervous system parasitic infection ?
1. Echinococcosis
2. Sparganosis
3. Paragonimiasis
4. Neurocysticercosis

Correct answer: 4. Neurocysticercosis

Explanation: Ans. is 'd' i.e., Neurocysticercosis Neurocysticercosis is the most common parasitic disease of the CNS world wide.